Which of the following is programmed cell death
1. Apoptosis
2. Pyroptosis
3. Necroptosis
4. All of the above

Correct answer: 4. All of the above